Which is false about Penicillium marneffi?
1. Black colonies
2. Dimorphic fungi
3. Amphotericin B used for treatment
4. Causes fulminant infections in immunocompromised patients

Correct answer: 1. Black colonies

Explanation: Penicillium Marneffei: It is the only dimorphic fungus in the genus Penicillium. Causes opportunistic infection (fulminant) in immunocompromised hosts, such as patients with HIV. Lab Diagnosis: - Direct Microscopy: Shows oval or elliptical yeast cells with central septation, which indicates that these cells divide by transverse fission rather than budding - Culture: P. marneffei produces yeast like colonies at 37degC and mould form at 25degC. The mould form has a characteristic diffusible brick red pigment. Treatment: AIDS patients with severe penicillinosis are treated with amphotericin B till the condition improves followed by maintenance therapy with itraconazole for 12 weeks. In mild penicilliosis, itraconazole is recommended for 12 weeks.